Tolerance is seen in
1. Hypochondriasis
2. Obsessive complusive disorder
3. Psychogenic dependence
4. Physiological dependence

Correct answer: 4. Physiological dependence

Explanation: Tolerance and withdrawal symptoms are seen in physical dependence